A 2 year old child without fever develops bone pain, vomiting and features of increased intracranial pressure following excessive medication. The drug most likely to be responsible for this is -
1. VitA
2. Phenothiazine
3. Phenytoin
4. Vit D

Correct answer: 1. VitA

Explanation: Ans. is 'a' i.e., Vit A o It is a case of pseudotumor cerebri.